Which of the following crystal form is least found in calculus:
1. Hydroxyapatite.
2. Magnesium whitlockite.
3. Octacalcium phosphate.
4. Brushite.

Correct answer: 4. Brushite.

Explanation: Hydroxyapatite 58%
Magnesium whitlockite 21%
Octacalcium phosphate  21%
Brushite 9%